Ability of stem cells, to cross barrier of differentiation and to transform into a cell of another lineage expressing the molecular characteristics of different cell type with the ability to perform the function of the new cell type is referred to as:
1. De-differentiation
2. Re-differentiation
3. Trans-differentiation
4. Sub-differentiation

Correct answer: 3. Trans-differentiation

Explanation: . Trans-differentiation